True statement about primary hyperparathyroidism-
1. Adenoma commonest cause
2. serum calcium
3. Surgery if biochemical finding is abnormal in asymptomatic patient
4. MIBG isotope is useful in localization of tumor

Correct answer: 1. Adenoma commonest cause

Explanation: Solitary adenoma common cause around 80% of primary hyperparathyroidism Ref - ( Harrison 17 pg 2380)